Tibialis posterior muscle is supplied by which nerve?
1. Posterior tibial nerve
2. Deep peroneal nerve
3. Femoral nerve
4. Sural nerve

Correct answer: 1. Posterior tibial nerve

Explanation: Ans A Posterior tibial nerveRef: Mac Glamry's Textbook of Foot and Ankle Surgery, pg. 196 Posterior tibial muscle is supplied by L5, S1 (posterior tibial nerve)# Action: Inversion of the foot at the ankle.# Test: The patient holds his foot in the inverted position while the examiner pushes outward toward eversion. Anterior tibial muscle is supplied by L4,5 (deep peroneal nerve)# Action: Dorsiflexion of the foot at the ankle.# Test: The patient dorsiflexes the foot and the examiner try to push the foot downward towards plantar extension.